A 3 yr old child has eczematous dermatitis on extensor surfaces. His mother has a history of bronchial asthma. Diagnosis could be
1. Atopic dermatitis
2. Contact dermatitis
3. Seborrhic dermatitis
4. Infantile eczematous dermatitis

Correct answer: 1. Atopic dermatitis

Explanation: A i.e. Atopic Dermatitis